All are true regarding trachea EXCEPT?
1. Has C shaped cartilages
2. Outer diameter is 2 cm
3. More than 20 hyaline cartilages
4. Isthmus of thyroid gland lies at 2, 3 and 4th tracheal rings

Correct answer: 3. More than 20 hyaline cartilages

Explanation: Trachea Length - 10- 15cm Diameter - 2cm (males), 1.5cm (females) Upper end - at lower end of cricoid cartilage. Lower end - sternal angle C6 - T6 (erect position in living person). Fibroelastic wall. Cartilaginous skeleton supported by 16 - 20 C- Shaped rings. Lumen lined by ciliated pseudostratified columnar epithelium